All of the following are components of Child Survival and Safe Motherhood Programme except:
1. Medical termination of pregnancy
2. Advice of food, nutrition and rest
3. Detection and referral of high risk pregnancies
4. Birth spacing

Correct answer: 1. Medical termination of pregnancy

Explanation: Ans: A i.e. Medical termination of pregnancy Medical termination of pregnancy has not been mentioned as a component of CSSM programme (1992), though it been stated as a major intervention under RCH (Reproductive and Child Health) programme.